Which of the following is present at the superior border of the pancreas ?
1. Splenic artery
2. Portal vein
3. Left Kidney
4. IVC

Correct answer: 1. Splenic artery

Explanation: Ans. is'a'i.e., Splenic artery(Ref: BDC &/e Vol.II p. 300)The body of pancreas has 3 borders-Anterior border provides attachment to the root of transverse mesocolon.Superior border is related to coeliac trunk, hepatic artery and splenic artery.Inferior border is related to superior mesenteric vessels.